Garland sign on CXR in sarcoidosis involves all except:
1. Right paratracheal nodes
2. Right hilar nodes
3. Left hilar nodes
4. Left pretracheal lymph nodes

Correct answer: 4. Left pretracheal lymph nodes

Explanation: Ans. is 'd' i.e., Left pretracheal lymph nodes o Bilateral hilar lymphadenopathy with right paratracheal nodal enlargement is classic for sarcoidosis and is referred to as the 1-2-3 sign or Garland triad.Garland's triad talso known as the 1-2-3 sign or Paw nbrokers sign! of Sarcoidosiso Right paratracheal nodeso Right hilar nodeso Left hilar nodes